Obesity in pregnancy causes all of the following complication except:
1. Abnormal uterine action
2. Fetal neural tube defect
3. Precipitate labor
4. Venous thrombosis

Correct answer: 3. Precipitate labor

Explanation: Ans. is c, i.e. Precipitate labourRef. Dutta Obs. 7/e, p 344; Williams Obs. 23/e, p 951, 952Obesity in PregnancyBody weight >90 kg or BMI >30kg/m2 is considered obese.(BMI = 20-24 is normal) >25kg/m2 OverweightObesity is associated with increased incidence of:During pregnancy:Dyspnoea on exertionHypertension (essential and PIH)DiabetesAnomalies is increasedDifficulty in diagnosis of presentation and in hearing the FHS.During labour:Abnormal uterine contractionsProlonged labour (and not precipitate labour)Shoulder dystociaOperative interference/anesthetic complications.In puerperium:Venous thrombosisLactation failure.Note: Obese pregnant females should be considered under 'High Risk group'Risk to the fetus in case of maternal obesity:| incidence of first trimester abortions| Incidence of fetal anomalies - especially neural tubal defectsMacrosomia which in turn leads to |chances of shoulder dystocia, birth injury and |incidence of low apgarScores and perinatal death (Ref High risk pregnancy Manju puri SS. Trivedi, p 493)|Still birth rateIn adult life - such fetuses have increased chances of obesity and heart diseases.